Thiazolidinedione is associated with increased risk of-
1. Heart failure
2. Pulmonary fibrosis
3. Myocarditis
4. Renal dysfunction

Correct answer: 1. Heart failure

Explanation: Ans. is "a' i.e., Heart failure Thiazolidinediones (glitazones) can precipitate CHF.